Tennis elbow is characterized by
1. Tenderness over the medial epicondyle
2. Tendinits of common extensor origin
3. Tendinitis of common flexor origin
4. Painful flexion and extension

Correct answer: 2. Tendinits of common extensor origin

Explanation: Tennis elbow is extraarticular affection characterized by pain and acute tenderness at the origin of the extensor muscles of the forearm from the lateral epicondyleIt is believed to be caused by strain of the forearm extensor muscles, particularly the extensor carpi radialisbrevis, at the point of their origin from lateral epicondyle(Refer: Mohindra's Fundamentals of Orthopedics, 2nd edition, pg no. 175, 497)